In some kidney transplants Hyperacute graft rejection is seen . It is due to
1. B lymphocytes
2. T cells
3. CD+4 cells
4. Preformed antibodies

Correct answer: 4. Preformed antibodies

Explanation: Ref - Bailey and love 25 e p1410